Fifteen years after menopause, the normal ovarian volume on ULTRASOUND should not measure more than_____?
1. 1 mL
2. 2 mL
3. 8 mL
4. 10 mL

Correct answer: 2. 2 mL

Explanation: Ans. b (2 mL) (Ref. Shaw's textbook of Gynaecology 14th ed., p 53)ANATOMICAL CHANGES AFTER MENOPAUSE# The ovaries shrink and their surface become grooved and furrowed.# The tunica albuginea thickens.# The menopausal ovary measures < 2 x 1.5 x 1 cm in size (8 mL in volume) as seen on ultrasound.# Fifteen years later, it should not measure more than 2 mL.# The plain muscle in the fallopian tube undergoes atrophy, cilia disappears from tubal epithelium, and the tubal plicae are no longer prominent.# The uterus becomes smaller through atrophy of its plain muscle, so that the connective tissues are more conspicuous. The endometrium is represented by only basal layer.# The cervix becomes smaller and its vaginal portion is represented by a small prominence at the vaginal vault.# The vaginal fornices gradually disappear.